The operative procedure is known as "microfracture" is done for the
1. Delayed union of femur.
2. Non union of tibia
3. Loose bodies of ankle joint
4. Osteochondral defect of femur

Correct answer: 4. Osteochondral defect of femur

Explanation: Ans. is 'd' i.e. Osteochondral defect of the femurRef. Various internet sites (www.orthopedics.hss.edu, www.kneeguru.co.uk)Microfracture is an arthroscopic procedure used to treat osteochondral defects (damaged areas of articular cartilage of the knee)